In a patient with pelvic inflammatory disease due to tuberculosis, which of the following statements is true :
1. Mycobacterium can be grown from menstrual blood
2. Associated with infertility
3. Ectopic pregnancy is common
4. All of These

Correct answer: 4. All of These

Explanation: All of These Mycobacterium can be grown from menstrual blood; Associated with infertility; and Ectopic pregnancy is common Most common symptom of TB is infertility. It is seen in 35 - 60% of cases. Cause of infertility : Blockage of the fallopian tube or Altered tubal and Endometrial function in presence of patent tubes. Ectopic pregnancy : Every woman who had or has, a tubal pregnancy should be suspected of having tubal tuberculosis active or healed. Dysmenorrhea : Shaw does not specify whether dysmenorrhea is common or uncommon in TB. "Dysmenorrhea rarely, if occurs." For diagnosis : Dilatation and curettage is done in the premenstrual phase and specimen sent for histo pathological examination and culture. First day menstrual blood can also be used but the results are not as satisfactory as premenstrual tissue. deg It For more details about Genital Tuberculosis, see previous answer